Urease test is positive for:
1. E. coli
2. Klebsiella
3. V. cholerae
4. Filaria

Correct answer: 2. Klebsiella

Explanation: Ans. B i.e. Klebsiella Urease It catalyzes the hydrolysis of urea to produce ammonia and carbamate, the carbamate produced is subsequently degraded by spontaneous hydrolysis to produce another ammonia and carbonic acid. Urease activity tends to increase the pH of the environment in which it is as it produces ammonia, as it is a basic molecule. Ureases are found in numerous bacteria, fungi, algae, plants and some invertebrates, as well as in soils, as a soil enzyme. They are nickel-containing metalloenzymes of high molecular weight. Mnemonic (PUNCH-K): P-Proteus; U-Ureaplasma; N-Nocardia; C-Cryptococcus; H-Helicobacter; K: Klebsiella